Iron is stored in-
1. Bone marrow
2. Liver
3. Spleen
4. All of the above

Correct answer: 4. All of the above

Explanation: Free iron is highly toxic and it is therefore important that storage iron be sequestered. This is achieved by binding of iron in the storage pool to either ferritin or hemosiderin.Ferritin is ubiquitous protein iron complex that is found at highest level in liver,spleen ,bonemarrow and skeletal muscles. In the liver ferritin is stored within the parenchymal cells and in other tissues such as spleen and the bonemarrow it ix found mainly in the macrophages. Ref: Robbins and Cotran Pathologic basis of disease.South Asia Edition -9;volume 1.page no . 420